Comedones are characteristic of:
1. Psoriasis
2. Acne vulgaris
3. Lichen planus
4. Pemphigus

Correct answer: 2. Acne vulgaris

Explanation: Ans. B i.e. Acne vulgaris